What supplies ammonia to liver?
1. Arginine
2. Alanine
3. Lactate
4. Pyruvate

Correct answer: 2. Alanine

Explanation: Aminotransferases (transaminases) catalyze the general reaction shown above. The most common compounds involved as a donor/acceptor pairs in transamination reactions are glutamate and 2-oxoglutarate (a-ketoglutarate). Alanine transaminase has an important function in the delivery of skeletal muscle carbon and nitrogen (in the form of alanine) to the liver. In skeletal muscle, pyruvate is transaminated to alanine, thus affording an additional route of nitrogen transport from muscle to liver. In the liver, alanine transaminase transfers the ammonia to 2-oxoglutarate and regenerates pyruvate. The pyruvate can then be diverted into glucon Ref: